Adverse effects combined OCPs:a) Liver disordersb) PIDc) Weight gaind) Acnee) Endometriosis
1. ac
2. bc
3. ad
4. b

Correct answer: 1. ac